True about Swine flu
(A)Older bird influenza vaccine is equally effective in swine flu
(B)Ostelmavir is effective in prevention
(C)Zanamavnr can be used for treatment
(D)Influenza vaccine provides immunity just after vaccination
1. BC
2. AB
3. AD
4. BA

Correct answer: 1. BC

Explanation: It emerged in march 2009 as new H1N1 virus disease
Also called as swine origin influenza
ft spread from person to person & caused a pandemic
PANDEMIC INFLUENZA A (H1N1) 
Currently susceptible to ose!tavir&zanamivir but resistant to amantadine or rimantadine
Treatment: oseltavir adult oral dose is 75 mg twice daily for 5 days. Zanamivir dose is two inhalation {2 x5 mg] twice daily for 5 days
Chemoprophylaxis:Oseltavir is drug of choice for chro mo prophylaxis. It should be given till 10 days after last exposure
1 nfluenza vaccine only become effective about 14 days after vaccination. Those infected shortly before(l-3 days) or shortly after immunization can still get the disease.
Vaccinated individuals can also get influenza caused by a different strain of influenza virus, for which the vaccine does not provide protection